Arterial embolization is done in all except -
1. Uterine AV malformation
2. PPH
3. Cancer
4. Prevent bleeding in endometriosis

Correct answer: 4. Prevent bleeding in endometriosis

Explanation: Ans. is 'd' i.e., Prevent bleeding in endometriosis o Indications for embolization in Obstetrics and Gynaecology are the following: Post Partum hemorrhage: Uterine atony/tears. Abnormal placentation Post-abortion/ ectopic Post hysterectomy Uterine AV malformation/ Gestational trophoblastic tumors Gynecological malignancies Fibroids (acute bleeding)